What should be the least hearing loss for Weber test to lateralize?
1. 5 dB
2. 10 dB
3. 15 dB
4. 20 dB

Correct answer: 1. 5 dB

Explanation: In normal Individuals - No lateralization of sound occurs as Bone conduction of both ears in normal and equal. In conductive deafness - Lateralization of sound occurs to the diseased ear. In SNHL - Lateralization of sound occurs to the better ear. Webers is a very sensitive test and even less than 5 dB difference in 2 ears hearing level can be indicated.